Liver synthesizes all, except:
1. C3 complement component
2. Hap Toglobin
3. Fibrinogen
4. Immunoglobulin

Correct answer: 4. Immunoglobulin

Explanation: D i.e. ImmunoglobulinAlpha (a ) and beta (f3) globulins are produced by hepatocytes (liver), where as immunoglobins or gamma globins are produced by B- lymphocyte (plasma cell)Q.Proteins synthesized by liver areProteinFunctionAlbuminOrmotic regulator; and carrier protein binding hormone, aminoacids,sterioids, vitamins, & fatty acidsa-fetoproteinOsmotic regulator; binding and carrier protein for hormones, amino acids(although functions are uncertain but because of its structural homology toalbumin these functions are assigned)ai-antiproteaseTrypsin & general (serum & tissue) protease inhibitoraz- macroglobulinSerum endoprotease inhibitorAntithrombin IIIProtease inhibitor of intrinsic coagulation system (1:1 binding)AngiotensinogenPrecursor to pressure peptide angiotensin IIApolipoprotein BLipid carrier assembly of lipoprotein paiclesAntithrombin C, Protein CInhibition of blood clottingCoagulation factors II, VII, IX, XBlood clottingCeruloplasminTransport copper (6 atoms Cu/mol)C- reactive proteinQUncertain, tissue inflammation, bind complement C1qFibrinogenPrecursor to fibrin in hemostasisHaptoglobinQBind & transport cell free hemoglobin (1:1 binding)I-ipno exinBinds to prophyrin, particularly heme for heme recycling.Mediator of anabolic effects of growth hormone (binds to IGF-1 receptor)Insulin like growth factor IOrosomucoidUncertain, +- role in inflammationSterioid hormone binding globulinCarrier protein for steroid in bloodThyroxine binding globulinCarrier protein for thyroid hormone in bloodTrans- thyretin (Thyroid binding pre albumin)Carrier protein for thyroid hormone in bloodTransferrinTransport of iron* Most of other plasma proteins except antibodies (yglobulins or immunoglobins) are synthesized in liverdeg.